Satellite nodules are seen in
1. Fungal corneal ulcer
2. Tuberculosis
3. Sarcoidosis
4. Viral ulcer

Correct answer: 1. Fungal corneal ulcer

Explanation: o Features of fungal corneal ulcer are